Drug(s) used in treatment of attention-deficit hyperactivity disorder -a) Atomoxetineb) Methylphenidatec) Dexmethylphenidated) Quetiapinee) Dextroamphetamine
1. bcde
2. abcd
3. acde
4. abce

Correct answer: 4. abce